In primary idiopathic polymyositis, the following group of muscles is almost never affected -
1. Proximal limb girdle muscles
2. Pharyngeal muscles
3. Extensor neck muscles
4. Ocular muscles

Correct answer: 4. Ocular muscles